Who invented PCR
1. Alec Jeffrey
2. Karry mullis
3. Cesar milstein
4. Gall and Pardue

Correct answer: 2. Karry mullis

Explanation: Refer the byte " PCR".